Which of the following is responsible for respiratory burst and production of superoxide ions-
1. Hydrolase
2. Catalase
3. Peroxidase
4. NADPH oxidase

Correct answer: 4. NADPH oxidase

Explanation: Ans. is 'D' i.e., NADPH oxidase o The final step in the microbial killing is due to reactive oxygen species called as respiratory burst. o Phagocytes require an enzyme to produce reactive oxygen species to destroy bacteria after they ingest the bacteria in a process called phagocytosis. o ROS are produced by the rapid assembly and activation of a multicomponent oxidase, NADPH oxidase and, in the process, reduces oxygen to superoxide anion (O2). o In neutrophils, this oxidative reaction is triggered by activating signals and accompanies phagocytosis and is called the respiratory burst.